Hemolytic anemia is associated with the following gall stones:
1. Pigmented
2. Mixed
3. Cholesterol
4. None

Correct answer: 1. Pigmented

Explanation: Ans. (a) PigmentedRef: Harrison 19th ed. 12078* Pigmented gall stones have composition of Calcium Bilirubinate and are seen in hemolytic anemia like hereditary spherocytosis, sickle cell anemia.* The pigment stones are themselves of 2 types.Black and brown pigment gallstones.* Black and brown pigment gallstones are morphologically, compositionally, and clinically distinct. Black stones form primarily in the gallbladder in sterile bile* Brown stones form not only within the gallbladder but also within the intrahepatic and extrahepatic ducts